Investigation of choice for diagnosis of congenital hypertrophic pylori stenosis:
1. USG
2. Barium meal
3. Barium meal follow through
4. CT scan with contrast

Correct answer: 1. USG

Explanation: Ans. USG